Which is the preferred material for use to sharpen a dental instrument to be used for tooth preparation?
1. Arkansas stone
2. Silicon carbide
3. Aluminium oxide
4. Diamond

Correct answer: 1. Arkansas stone

Explanation: Arkansas stone is a naturally occurring mineral containing microcrystalline quartz and traditionally has been the preferred material for fine sharpening stones. Only a fine grit stone is suitable for the final sharpening of dental instruments to be used for tooth preparation.
Ref: Sturdevant's art and science of operative dentistry. 4th edition page 317